The presence of multiple cavities in the lung with hematuria is suggestive of-
1. Wegener's granulomatosis
2. Tuberculosis
3. Renal cell carcinoma
4. Systemic lupus erythematosus (SLE)

Correct answer: 1. Wegener's granulomatosis

Explanation: Wegener's granulomatosis is characterised by granulomatous vasculitis of the upper and lower respiratory tracts together with glomerulonephritis.Lung involvement typically appear as multiple,bilateral,nodular cavitary infiltrates and clinically expressed as cough,hemoptysis,dyspnea,and chest discomfort.Renal involvement can appear as proteinuria,hematuria,and red blood cell casts,and progressing to renal functional impairment and renal failure. Ref:Harrison's medicine-18th edition,page no:2789,2790.